Polymenorrhagia is defined as:
1. Increase in frequency of cycle along with excessive or prolonged bleeding.
2. Increase in frequency of cycle with average normal bleeding.
3. Increase in duration of cycle with less bleeding.
4. Regular cycle with Less bleeding.

Correct answer: 1. Increase in frequency of cycle along with excessive or prolonged bleeding.

Explanation: Polymenorrhea is defined as cyclic bleeding where the cycle is reduced to an arbitrary limit of less than 21 days and remains constant at that frequency. If the frequent cycle is associated with excessive and or prolonged bleeding, it is called polymenorrhagia.